The mean setting time of MTA is:
1. 135 ± 5 min
2. 145 ± 5 min
3. 155 ± 5 min
4. 165 ± 5 min

Correct answer: 4. 165 ± 5 min

Explanation: The setting time for MTA is lengthy, about 165 minutes for the initial set and less than 6 hours for the final set, which is a major drawback of using this cement.
Phillip's science of dental material 12th edition page 332